Experimental studies are meant to -
1. Test etiological hypothesis
2. Find out prevalence rates
3. Find out cause of epidemics
4. To find out the history of disease

Correct answer: 1. Test etiological hypothesis

Explanation: Experimental studies involve an active attempt to change a disease determinant or the progress of a disease and are similar in design to experiments in other sciences. The major experimental design is randomized control trials. Field trials and community trials are other experimental studies. (refer pgno:63 park 23 rd edition)